Moderate excercise tachypnea is due to stimulation of which receptor
1. Proprioception
2. J receptor
3. Lung receptor
4. Baro receptor

Correct answer: 1. Proprioception

Explanation: Inspiratory neurons are stimulated by proprioception from joints and muscles.